Doctrine ofres ipsa loquitur means -
1. Common knowledge
2. Medicalmaloccuranoe
3. Fact speaks for itself
4. Oral evidence

Correct answer: 3. Fact speaks for itself

Explanation: Ans. is 'c' i.e., Fact speaks for itself Doctrine of res ipsa loquitur:o It means "the thing or fact speaks for itself"o In a case of professional negligence of a physician, the patient need not prove negligence.o It is applied when following conditions are fulfilled:That in the absence of negligence the injury would not have occurred ordinarilyThat the doctor had exclusive control over the injury producing instrument or treatmentThat the patient was not guilty of contributory negligence